Cirrhosis of liver in adult population is commonly due to all of the following except -a) Hepatitis Ab) Hepatitis Bc) Hepatitis Cd) Hepatitis E
1. ad
2. c
3. ac
4. ab

Correct answer: 1. ad